Commonest histological Variety of  nephrotic syndrome in children is
1. Minimal change disease
2. membranous
3. FSGS
4. MPGN

Correct answer: 1. Minimal change disease

Explanation: M/C in adults  - membranous.
M/C in children - Minimal change disease.